Sulfonylurea group of drugs produce hypoglycemia due to all the following mechanisms except
1. Increases release of insulin from islet tissue
2. Increases biosynthesis of insulin in islet tissues
3. Increases number of insulin receptors
4. Sensitization of cells of islets to glucose

Correct answer: 2. Increases biosynthesis of insulin in islet tissues

Explanation: (Refer: Rang and Dale's Clinical Pharmacology, 7th edition, pg no: 380-383)